True about undescended testes
1. Normal testosterone
2. Normal spermatogenesis
3. Normally physiological descend occurs upto 18 months
4. Testes deviates from normal path

Correct answer: 1. Normal testosterone

Explanation: Leydig cells are not affected so testosterone levels normal.
Sertoli cells are affected so spermatogenesis is affected.